All of the following are associated with glucose intolerance except,
1. Hyperaldosteronism
2. Acromegaly
3. Panhypopituitatim
4. Cushings syndrome.

Correct answer: 3. Panhypopituitatim

Explanation: Panhypopituitarism is associated with low GH, low glucocorticoids     -->  High insulin action 
hence, Hypoglycemia.